Resting membrane potential is mainly due to
1. Na+
2. K+
3. Cl-
4. Mg++

Correct answer: 2. K+

Explanation: Resting membrane potential depends on the concentration of potassium ion. (REF: TEXTBOOK OF MEDICAL PHYSIOLOGY GEETHA N 2 EDITION, 23)